A 30 year old man presents to the emergency with complaints of muscle weakness, nausea, vomiting and fatigue. ECG showed tall peaked T waves, prolonged PR interval, wide QRS and absent P. which of the following drugs is not used in management?
1. Beta antagonist
2. Calcium gluconte
3. Insulin
4. Sodium bicarbonate

Correct answer: 1. Beta antagonist

Explanation: Early ECG changes of hyperkalemia, typically seen at a serum potassium level of 5.5-6.5 mEq/L, include the following: Tall, peaked T waves with a narrow base, best seen in precordial leads. Shortened QT interval. ST-segment depression The deviations to both extremes (hypo- and hyperkalemia) are related to the risk of cardiac arrhythmias. Potassium levels below 3,0 mmol/l cause significant Q-T interval prolongation with subsequent risk of torsade des pointes, ventricular fibrillation and sudden cardiac death. Beta-adrenergic activity is one of several mechanisms regulating the movement of potassium from the extracellular to the intracellular environment.This study provides convincing evidence that inhaled albuterol significantly lowers plasma potassium in patients with chronic renal failure and moderate hyperkalemia Ref Harrison 20th edition pg1769